All the following has mood stabilizing action EXCEPT:
1. Carbamazepine
2. Lamotrigine
3. Lithium
4. Paroxitine

Correct answer: 4. Paroxitine

Explanation: Ans. d) Paroxetine. (Ref. Pharmacology by KD Tripathi 5th/- 418, 412)MOOD STABILIZERS# Lithium# Carbamazepine# Sodium valproate# Lamotrigine; Gabapentin, topiramate (their value yet not known)# Olanzapine; Risperidone# Clonidine, verapamil, nimodipine are also being investigated as alternative to lithium.Paroxetine is selective Serotonergic reuptake inhibitor (SSRIs).# Other SSRI'S include- Fluoxetine (longest acting)- Fluoxamine- Paroxetine- Sertraline- Citolapram# Uses of SSRIs- OCD- Panic disorders- Social phobia- Eating disorder- Post traumatic stress disorder- Body dysmorphic disorder- Kleptomania